All of the following are associated with hyper-gonadotrophic hypogonadism in males, except-
1. Viral orchitis
2. Klinefelter's syndrome
3. kallman's syndrome
4. Noonam syndrome

Correct answer: 3. kallman's syndrome

Explanation: kallmann syndrome due to low gonadotropins causing delayed puberty( Harrison 17 pg 2314)